"Amalgam" means
1. A metallic powder composed of silver, tin, copper and zinc
2. An alloy of two or more metals, one of which is mercury
3. An alloy of two or more metals that have been dissolved in each other in the molten state
4. A metallic substance in powder or tablet form that is mixed with mercury

Correct answer: 2. An alloy of two or more metals, one of which is mercury